While charting the dentition of a child, the pedodontist finds that the following teeth are present in all the four quadrants; permanent central incisor, permanent lateral incisor, deciduous cuspid, deciduous first molar, deciduous 2nd molar and permanent 1st molar. The eruptive pattern may be considered most nearly normal for a child aged:
1. 3-6 years
2. 7-10 years
3. 11-14 years
4. 15-18 years

Correct answer: 2. 7-10 years